Western blot is used for:
1. RNA
2. DNA
3. Proteins
4. Maternal DNA

Correct answer: 3. Proteins

Explanation: Ans. Proteins